C. albicans is recognized in microscopic examination of infected tissues by the presence of
1. Spherules containing endospores
2. Metachromatic granules
3. Yeasts and pseudohyphae
4. Asci containing 2-8 ascospores

Correct answer: 3. Yeasts and pseudohyphae

Explanation: C. albicans is the most important species of Candida and causes thrush, vaginitis, skin and nail infections, and other infections. It is part of the normal flora of skin, mouth, GI tract, and vagina. It appears in tissues as an oval budding yeast or elongated pseudohyphae. It grows well on laboratory media and is identified by germ-tube formation. A vaccine is not available and serologic and skin tests have little value.